Corneal endothelial cell count is measured by -
1. Specular microscope
2. Ophthalmoscope
3. Synoptophore
4. Amsler's grid

Correct answer: 1. Specular microscope

Explanation: Ans. is 'a' i.e., Specular microscope o Corneal endothelium is examined with specular microscope, which allows a clear morphological study of endothelial cells including photographic documentation.o The cell density' of endothelium is around 3(MHI cells/mm2 in young adults, w hich decreases with advancing age.